Gutter fracture of skull results from
1. Injury with a round object
2. Bullet injuries
3. Automobile accident
4. Falling from height

Correct answer: 2. Bullet injuries

Explanation: Gutter fractures: They are formed when part of the thickness of the bone is removed so as to form a gutter e.g. oblique bullet wound. Ref - Krishnan Vij 5th edition pg 156 ,275